Quod Hanc means -
1. Medically impotent
2. Legally impotent
3. Impotent towards all women
4. Impotent towards a particular women

Correct answer: 4. Impotent towards a particular women

Explanation: Ref:Synopsis of Forensic medicine and toxicology (K.S.Narayan Reddy) 28th edition, page no.199 Quoad hoc is an individual who may be impotent with one particular woman but not with others. It is a psychic causes of impotence.emotional disturbances are a comman cause of impotence. fear of impotence or fear of inability to complete the act are also common cause of temporary impotence.